Zinc is a cofactor for:
1. Pyruvate dehydrogenase
2. Pyruvate decarboxylase
3. a-keto glutarate dehydrogenase
4. Alcohol dehydrogenase

Correct answer: 4. Alcohol dehydrogenase

Explanation: Alcohol dehydrogenase Zinc containing enzymes are: 1) Superoxide dismutase (it is a Cu-Zn protein complex) 2) Carbonic anhydrase 3) Leucine amino peptidase 4) Carboxy peptides 'A' 5) Alcohol dehydrogenase 6) Retinine reductase 7) Alkaline phosphatase 8) Glutamate dehydrogenase 9) Lactate dehydrogenase 10) DNA and RNA polymerase 11) d-ALA dehydratase